Drug not used in chloroquine resistant malaria is :
1. Sulfadoxine–pyrimethamine
2. Fluoroquinolones
3. Quinine
4. Artemisinins

Correct answer: 2. Fluoroquinolones